Lymphogranuloma venereum (LGV) is caused by:
1. Chlamydia trachomatis
2. G. donovani
3. Madura mycosis
4. Herpes genitalis

Correct answer: 1. Chlamydia trachomatis

Explanation: Ans. a. Chlamydia trachomatisLGV is an invasive STD, caused by C. trachomatis Serovars L1, L2 and L3, characterized by:MC serotype by L2>L1, L3LGV serotypes are more invasive than others.Incidence is falling, Male: female=3.4:1Clinical features:Pain less Ulcer+Painful lymph nodes (Enlarged inguinal Lymph node called Bubo).Esthiomene (elephantiasis of vulva) rectal stricture, proctitis.Skin test positive - Frie test